Autosplenectomy is seen in?
1. Hereditary spherocytosis
2. G6 PD deficiency
3. Sickle cell anemia
4. Thalassemia major

Correct answer: 3. Sickle cell anemia

Explanation: ANSWER: (C) Sickle cell anemiaREF: Harrisons Internal Medicine 17th edition Chapter 60. Enlargement of Lymph Nodes and Spleen, CMDT 2009 chapter 13 Blood Disorders > AnemiasPatients with sickle cell disease often suffer from autosplenectomy as a result of splenic destruction by the numerous infarcts associated with sickle cell crises during childhood.Indeed, the presence of a palpable spleen in a patient with sickle cell disease after age 5 suggests a coexisting hemoglobinopathy, e.g., thalassemia or hemoglobin C